Superior intercostal artery is a branch of-
1. Costocervical trunk
2. Dorsal scapular artery
3. Thyrocervical trunk
4. Internal thoracic artery

Correct answer: 1. Costocervical trunk